Keratic precipitates are seen in which layer of the cornea?
1. Corneal epithelium
2. Corneal endothelium
3. Descemet's membrane
4. Bowman's membrane

Correct answer: 2. Corneal endothelium

Explanation: Keratic precipitates are cellular deposits on corneal endothelium compared to epitheloid cells, lymphocytes, polymorphs.